The useful fertility indicator where birth registration statistics do not exist or are inadequate is:
1. Abortion rate
2. Child-woman ratio
3. Male-female ratio
4. Net reproduction rate

Correct answer: 2. Child-woman ratio

Explanation: Child-Woman ratio It is no. of Children 0-4yrs of age per 1000 women of child bearing age,usually defined as 15-44 or 49 yrs of age. This ratio is used where birth registration statistics do not exist or are inadequate